Respiratory centre depression is caused by all except -
1. Opium
2. Strychnine
3. Barbiturates
4. Gelsemium

Correct answer: 2. Strychnine

Explanation: Certain medications, in particular sedatives, and specific health complications are known to cause or increase the risk. Common causes of respiratory depression include: opiate or opioid (morphine, tramadol, heroin, fentanyl) overdose postoperative (after surgery) opioid-induced or anesthetic related respiratory depression stroke that affects the lower brain stem ethanol overdose or poisoning barbiturate overdose or poisoning sedative overdose or poisoning benzodiazepine overdose or poisoning congenital (present at birth) central hypoventilation syndrome (CCHS) central sleep apnea severely elevated blood ammonia as seen in liver failure and cirrhosis brain tumour pressing on the brain stem at the respiratory center Ref - Davidson 23rd edition pg 566